Prior H/O ear surgery Scanty, foul smelling, painless discharge from the ear is characteristic feature of which of the following lesions -
1. ASOM
2. Cholesteatoma
3. Central perforation
4. Otitis externa

Correct answer: 2. Cholesteatoma

Explanation: Cholesteatoma / attico antral type of CSOM / marginal perforation is characterised by scanty foul smelling, painless discharge from the ear. The foul smell is due to saprophytic infection and osteitis